Which one of the following vaccines is contraindicated in pregnancy?
1. MMR
2. Rabies
3. Hep B
4. None

Correct answer: 1. MMR

Explanation: MMR is a live vaccine prepared from live and generally attenuated organisms by passing repeatedly in the laboratory in tissue culture and thus it has lost their capacity to cause a full blown disease but retain their properties of immunogenicity. Live vaccines are contraindicated in pregnancy considering the risk of teratogenic harm to the fetus. Rabies and Hepatitis B vaccines are killed or inactivated vaccines and no such contraindication exists to their use in pregnancy. Ref: Park's Textbook of Preventive and Social Medicine By K. Park, 19th Edition, Pages 97-8; Side Effects of Drugs Annual By Jeffrey K. Aronson, Pages 581-582; Immunology for The Health Sciences By Nicholas J. Vardaxis, Pages 101-4